Cystic medial necrosis responsible for aortic dilatation and rupture is seen in -
1. Syphilitic aneurysm
2. Takayasu arteritis
3. Atherosclerosis
4. Marfan syndrome

Correct answer: 4. Marfan syndrome

Explanation: Ans. is 'd' Marfan syndromeo Cystic medial necrosis is the degenerative disease of media of the aorta.o It characterized by degeneration of collagen and elastic fibers in tunica media of aorta, and also the loss of medial cells that are replaced by multiple cleft of mucoid material.It characteristically affects the proximal aoer, results in circumferential weakness and dilatation which results in the development offusiform aneurysm involving the ascending aorta and sinus of vulsalva.o Cystic medial necrosis is a pathological substrate for aortic dissection.Diseases causing cystic medial necrosis o Marfan syndromeo Ehler-Danlus syndrome (type IV)o Congenital bicuspid aortic valveo Familial thoracic aortic aneurysm syndrome o Pregnancy